A city has a population of 10000 with 500 diabetic patients. A new diagnostic test gives true positive result in 350 patients and false positive result in 1900 patients. Which of the following is/are true regarding the test ?
1. Prevalence is 5%
2. Sensitivity is 70%
3. Specificity is 80%
4. All

Correct answer: 4. All

Explanation: Ans. is 'a' i.e., Prevalence is 5%; 'b' i.e., Sensitivity is 70% & 'c' i.e., Specificity is 80% In this question : Total patients = 500 (diabetic patients) True positive patients = 350 Thus remaining 150 (500-350) are false negative. 350 So, sensitivity of test = 350+150 70% Similarly, Total non-diseased are = 9500 (10000-500) Among these false positive are = 1900 Thus remaining 7600 are ture negative (9500-1900) 7600 So, specificity of test = = 80% 9500 500 o Prevalance of disease = x 100 = 5% 10000